Sputum analysis of an asthma patient shows Charcot Leyden crystals. From where are these crystals derived from:
1. Macrophages
2. Eosinophils
3. Basophils
4. Neutrophils

Correct answer: 2. Eosinophils

Explanation: Eosinophil cytoplasm contains Charcot-Leyden crystal protein, a hexagonal bipyramidal crystal observed in sputum of patients with asthma. This protein is lysophospholipase and may function to detoxify certain lysophospholipids. Eosinophils are linked to the development of AHR through the release of basic proteins and oxygen-derived free radicals. Eosinophil recruitment involves adhesion of eosinophils to vascular endothelial cells in the airway circulation due to interaction between adhesion molecules, migration into the submucosa under the direction of chemokines. Ref: Gallin J.I. (2012). Chapter 60. Disorders of Granulocytes and Monocytes. In D.L. Longo, A.S. Fauci, D.L. Kasper, S.L. Hauser, J.L. Jameson, J. Loscalzo (Eds), Harrison's Principles of Internal Medicine, 18e.